NOT a content of Jugular Foramen
1. Hypoglossal nerve
2. Glossopharyngeal nerve
3. Occipital arteries
4. Sigmoidal sinus

Correct answer: 1. Hypoglossal nerve

Explanation: (A) Hypoglossal nerve# JUGULAR FORAMEN may be subdivided into three compartments, each with their own contents.> Anterior compartment transmits the inferior petrosal sinus.> Intermediate transmits the glossopharyngeal, vagus, and accessory nerves ( cranial nerves number IX, X, and XI respectively).> Posterior transmits the sigmoid sinus (becoming the internal jugular vein) and some meningeal branches from the occipital and ascending pharyngeal arteries.